Tuberculous Ulcer of Oral cavity is usually
1. painless
2. painful
3. itching
4. Asymptomatic

Correct answer: 2. painful